Woodruff's plexus is seen at -
1. Anteroinferior part of superior turbinate
2. Middle turbinate
3. Posterior part of inferior turbinate
4. Anterior part of inferior turbinate

Correct answer: 3. Posterior part of inferior turbinate

Explanation: Ans. is 'c' i.e. Posterior part of inferior turbinate Woodruffs areao It is situated under the posterior end of inferior turbinate.o Sphenopalatine artery anastomoses with posterior pharyngeal artery here,o Posterior epistaxis occurs in this area.